All are complications of cirrhosis except
1. Coagulopathy
2. Splenomegaly
3. Osteoporosis
4. Haemophilia

Correct answer: 4. Haemophilia

Explanation: Complications of CirrhosisPortal hypertensionGastroesophageal varicesPortal hypertensive gastropathySplenomegaly, hypersplenismAscitesSpontaneous bacterial peritonitisHepatorenal syndrome - Type I & IIHepatic encephalopathyHepatopulmonary syndromePortopulmonary hypertensionMalnutritionCoagulopathyFactor deficiencyFibrinolysisThrombocytopeniaBone diseaseOsteopeniaOsteoporosisOsteomalaciaHematologic abnormalitiesAnemiaHemolysisThrombocytopeniaNeutropeniaRef: Harrison 19e pg: 2062